In a patient with iridocyclitis, which of the following type of synechiae result in iris bombe formation?
1. Segmental synechiae
2. Total synechiae
3. Ring synechiae
4. None

Correct answer: 3. Ring synechiae

Explanation: Ring (annular) posterior synechiae result in a 360 degree adhesion of pupillary margin to the anterior capsule of lens. Due to this, aqueous humor collects behind the iris and pushes it forwards resulting in iris bombe formation. Ref: Ophthalmology By A K Khurana, 4e page 143.